True about otoacoustic emissions -a) Are accousted by product of outer hair cellb) Are accousted by product of inner hair cellc) Used as a screening test of hearing in newborn infantd) Useful in ototoxicity monitoringe) Disappear in 8th nerve pathology
1. acd
2. ad
3. bc
4. bde

Correct answer: 1. acd